The following are the features of "dystocia dystrophica syndrome" except
1. They have normal fertility
2. The patient is stockily built with short thighs
3. Android pelvis is common
4. Often have difficult labour

Correct answer: 1. They have normal fertility

Explanation: Dystocia dystrophia syndrome
Charecteristic features

Short 
Stocky
Subfertile
Android pelvis 
Delayed menarche
Masculine hairline